All are true about vestibular nerve except:
1. It has two division- superior and inferior vestibular
2. Vestibular nuclei situated at junction of pons and medulla
3. Nerve fibres relay at scarpa's ganglion
4. Nucleus lies in midbrain near aqueduct

Correct answer: 4. Nucleus lies in midbrain near aqueduct

Explanation: Ans. (d) Nucleus lies in midbrain near aqueduct Vestibular nerve:The main nerve divides at and within the vestibular(Scarpa's) ganglion into superior and inferior division, which are connected by an isthmusVestibular nuclei is located in floor of 4th ventricle & is supplied by PICA.Vestibular ganglion is also k/a Scarpa's ganglion.Vestibular nerve anastomose with cochlear and facial nerve.